Secretomotor supply reaches parotid gland through:
1. Facial nerve.
2. Glossopharyngeal nerve.
3. Chorda tympani.
4. Auriculotemporal nerve.

Correct answer: 4. Auriculotemporal nerve.